Pathognomic feature of Maxillary sinusitis is:
1. Mucopus in the middle meatus
2. Inferior turbinate hypertrophy
3. Purulent nasal discharge
4. Atrophic sinusitis

Correct answer: 1. Mucopus in the middle meatus

Explanation: Characteristic finding of maxillary sinusitis on Rhinoscopy is pus or mucopus in middle meatus. Mucosa and turbinates may appear red and swollen. Ref Dhingra 5/e,p 205.